Curling's ulcer are associated with:
1. Patient with gastrinoma
2. Head injuries
3. Burns
4. Analgesic overdosage

Correct answer: 3. Burns

Explanation: Ans. C: Burns Curling's ulcer is an acute peptic ulcer of the duodenum resulting as a complication from severe burns when reduced plasma volume leads to sloughing of the gastric mucosa. The condition was first described in 1823 and named for a doctor, Thomas Blizard Curling, who observed ten such patients in 1842. A similar condition involving elevated intracranial pressure is known as Cushing ulcer.